False about obstructive jaundice
1. Unconjugated bilirubin
2. Pruritus
3. Pale stools
4. Icterus

Correct answer: 1. Unconjugated bilirubin

Explanation: Obstructive jaundice Most common surgical cause of obstructive jaundice is CBD stones Characterized by dark urine, pale coloured stools, icterus and Pruritus Presence of urobilinogen in urine rules out obstructive jaundice USG is the best test to differentiate medical from surgical jaundice Unconjugated bilirubin is normal Ref: Harrison's 19th edition Pg no : 1998